A 30 years old sexually active pregnant female suffers from SLE is having + ye VDRL. Next best step is -
1. Take the VDRL +ve as biological false +ve and do nothing
2. Do contact tracing
3. Treat her for syphilis
4. Do FTS-ABS test

Correct answer: 4. Do FTS-ABS test